Bilateral ptosis is not seen in
1. Marfan's syndrome
2. Myaesthenia gravis
3. Myotonic dystrophy
4. Kearns sayre syndrome

Correct answer: 1. Marfan's syndrome

Explanation: A i.e. Marfan's Syndrome Marfan's Syndrome does not present with ptosis. It has bilateral subluxation of lens, retinal detachment, hypoplasia of dilator pupilae, flat cornea, axial myopia & angle anomaly etc.